what is the most common site of loose bodies in a joint-
1. Knee joint
2. Hip joint
3. Elbow joint
4. Ankle joint

Correct answer: 1. Knee joint

Explanation: knee joint is most common site of loose boides ref : maheswari 9th ed